Old age pigment is?
1. Hemosiderin
2. Melanin
3. Lipofuscin
4. Bilirubin

Correct answer: 3. Lipofuscin

Explanation: Ans. is 'c' i.e., Lipofuscin o It is an insoluble pigment, also known as lipochrome and wear or tear or aging pigment. Lipofuscin is not injurious to the cell or its functions.Lipofuscino It is an insoluble pigment, also known as I and wear or tear or aging pigment. Lipofuscin is not injurious to the cell or its functions.o Its importance lies in being the tell-tale sign of free radical injury and lipid peroxidation.o It is seen in cells undergoing slow, regressive changes and is particularly prominent in the liver and heart of aging patients or patients with severe malnutrition and cancer cachexia,o On electron microscopy, the granules are highly electron dense, often have membranous structure in their midst and are usually in perinuclear location. In tissue section it appears as yellow brown pigment.o Deposition of lipofuscin in the heart is referred as brown atrophy